Test to differentiate between neonatal hepatitis and biliary atresia in infant with jaundice:
1. Gamma glutamyl transpeptidase
2. Alanine transaminase
3. Aspartate transaminase
4. Ultrasound

Correct answer: 4. Ultrasound

Explanation: All the 3 hepatic enzymes are elevated in both neonatal hepatitis and biliary atresia. But USG may show triangular cord sign in biliary atresia.